Which of the following statements about cerebellar astrocytomas in pediatric age group is false ?
1. These are usually low grade tumors
2. These tumors have a good prognosis
3. These are more commonly seen in the 1st and 2nd decades
4. These tumors are more common in females

Correct answer: 4. These tumors are more common in females

Explanation: Ans. is 'd' i.e., These tumors are more common in females o Cerebellar astrocytomas do not show any clear gender predilection and are equally common in both males & females. o Low grade astrocytomas are more common in children than adults. The predominant group of astrocytomas is childhood are low grade astrocytoma. o Cerebellar astrocytomas develop most commonly during first two decades of life. o Most common type of astrocytoma in children is Juvenile pilocytic astrocytoma, which has very good prognosis.